True about volume receptors are all, EXCEPT:
1. They are low pressure receptors
2. They provide afferents for thirst control
3. They are located in carotid sinus
4. They mediate vasopressin release

Correct answer: 3. They are located in carotid sinus

Explanation: The low-pressure baroreceptors are located in the venae cavae and the pulmonary veins, and in the atria. They are also called volume receptors. These receptors respond to changes in the wall tension, which is proportional to the filling state of the low pressure side of circulation (below 60mmHg). Their impulses regulate the secretion of antidiuretic hormone (ADH/Vasopressin), renin and aldosterone. The low-pressure baroreceptors have both circulatory and renal effects; they produce changes in hormone secretion, resulting in profound effects on the retention of salt and water; they also influence intake of salt and water.